Which of the following statements is true regarding cholangitis -
1. Increased leucocyte count
2. Increased transaminases
3. Increased bilirubin
4. All

Correct answer: 4. All

Explanation: Answer is (a) Increased leucocyte count, (b) Increased transaminases, (c) Increased bilirubin Above points have been explained in previous questions. Also see Diagnostic evaluation of cholangitis - Ultrasound is the first investigation - it can document the presence of gallstones, will demonstrate dilated ducts but demonstration of cause and site of obstruction is difficult. ERC is the definitive diagnostic test. MRCP is the best non-invasive investigation.